Which of the following is a frameless IUD:
1. Mirena
2. Cu Fix
3. Cu T 380A
4. Multiload 375

Correct answer: 2. Cu Fix

Explanation: Newer IUDs Cu-Fix IUD (Flexi-Gard): Frameless IUD consisting of six copper sleeves (300 mm2 of copper) strung on a surgical polypropylene nylon thread, which is knotted at the upper end. Cu Safe IUD: Device has a T-shaped radio-opaque plastic body. The ends of the flexible transverse arms are inwardly bent, providing a nonirritating, fundus-seeking mechanism.